Minimum temperature required by the hot GP sticks to stimulate pulp is
1. 65°c.
2. 45°c.
3. 55°C.
4. 75°c.

Correct answer: 1. 65°c.